Degree of diabetic retinopathy depends on –
1. Type of disease
2. Duration of disease
3. Severity of disease
4. Retinal involvement

Correct answer: 2. Duration of disease

Explanation: Risk factors for diabetic retinopathy 

Duration of disease after onset of puberty :- Most important risk factor.
Other :- Age of onset (before puberty), sex, poor glycemic control, hypertension, smoking, poor renal status, obesity, hyperlipidemia, pregnancy.